Chalcosis is assosciated with
1. Copper
2. Zinc
3. Lead
4. Gold

Correct answer: 1. Copper

Explanation: Chalcosis is copper deposition whereas gold deposition is called Chrisiasis Long term intake of gold of more than 1000mg leads to corneal deposits and anterior subscapular cataract Refer: Khurana 6th edition page number 434